'Duret Hemorrhages' are seen in:
1. Brain
2. Kidney
3. Heart
4. Lung

Correct answer: 1. Brain

Explanation: Duret hemorrhage: In case of increased ICP downward herniation of brainstem occur, which causes stretching of perforators of basilar artery and may results in bleed (Duret hemorrhage) Duret hemorrhage is small area of bleeding in ventral and paramedian part of upper brainstem (midbrain and pons) It usually indicates a fatal outcome, however survival has been reported Diagnosis is made on CT or MRI Ref: Robbins 9th edition pgno: 1255